Atropine is used in organophosphate poisoning because of its
1. Reactivate acetylcholinesterase
2. Compete with acetylcholine release
3. Binds with both nicotinic and muscarinic acetylcholine receptors
4. It is competitive antagonist of acetylcholine

Correct answer: 4. It is competitive antagonist of acetylcholine

Explanation: Refer kDT 6/e p 106 atropine acts as antagonist in muscarinic receptors. It has no activity on nicotinic receptors and do not interfere with the release of acetylcholine